Ascorbate and u-tocopherol are maintained in a reduced state in the lens by:
1. Glucose
2. Glycoprotein
3. Glutathione
4. Fatty acid

Correct answer: 3. Glutathione

Explanation: Ans. c. Glutathione Ascorbate and a-tocopherol are maintained in a reduced state in the lens by glutathione. "Ocular concentrations of glutathione are very high when compared with most other tissues and decreased levels of glutathione are associated with both age related macular degeneration and cataract and in diabetic patients with similar conditions. Glutathione is critical in maintaining the reduced state of sulfrhydryl-containing proteins in the lens. Glutathione normally functions to maintain Ascorbate, alpha-tocopherol, and other cellular components in reduced state."- Parson 2P/256 "The reducing compound glutathione (GSH) exists in an unusually high concentration in the lens where it junctions as an essential antioxidant vital for maintenance of the tissue's transparency. In conjunction with an active glutathione, redox cycle located in the lens epithelium and superficial cortex, GSH detoxifies potentially damaging oxidants such as 11202 and dehydroascorbic acid." Antioxidants present in the lens GlutathioneQ Vitamin CQ Vitamin AQ CatalaseQ Superoxide dismutaseQ